Greater vein of Galen is formed by :
1. Superior saggital sinus with straight sinus
2. Inf. saggital sinus with straight sinus
3. Internal cerebral veins
4. Basilar vein

Correct answer: 3. Internal cerebral veins

Explanation: C. i.e. Internal cerebral veins